Soap bubble appearance on distal end of radius is diagnostic of -
1. Osteoblastoma
2. Osteoclastoma
3. Osteosarcoma
4. Ewing's sarcoma

Correct answer: 2. Osteoclastoma

Explanation: Ans. is 'b' i.e., Osteoclastoma Characteristic radiological features of few bone tumorso Celery-stick appearance - Enchondromaso Coat-hanger appearance - Osteochondromao Codman tumor and chicken-wire calcification - Chondroblastomao Double density sign on radionuclide scan - Osteoid osteomao Nidus and sclerotic rim - Ostoid osteomao "Driven snow" appearance - Pindborg tumoro Fallen fragment/Hinged fragment sign - Simple (unicameral) bone cysto "Eggshell" covering of expansile cortex over surface of lesion - ABCo 'Soap bubble' appearance - ABCo Soap bubble appearance (& goes into corners) - GCT (Osteoclastoma)o 'Floating tooth' sign - Eosinophilic granuloma, adamantinomao Onion skin (onion peel) appearance - Ewing sarcomao Skip lesions - Osteosarcoma, Ewings sarcomao 'Sunray/Sunburst' appearance - Osteosarcomao String sign (to differentiate from myositis ossificans) - Parosteal osteosarcomao Popcom/mottled calcification - Chondrosarcomao Shepherd's crook deformity - Fibrous dysplasiao Codman's triangle - Osteosarcoma, Ewing sarcomao Winking owl sign - Metastasis to pedicles of vertebrao Corduroy/accordian vertebra/vertical striations - Vertebral hemangiomao Polka dot sign on CT - Vertebral hemangiomao Geographical skull - Eosinophilic granulomao Hole-within-a-hole lesion - Eosinophilic granuloma